Antiemetic effect of Metoclopromide is mainly due to its action as
1. 5HT3 antagonist
2. D2 antagonist
3. M3 antagonist
4. 5HT4 agonist

Correct answer: 2. D2 antagonist

Explanation: Antiemetic effect of Metoclopramide is because of D2 antagonism > 5HT3 antagonism.
Prokinetic effect is due to 5HT4 agonism.